A boy presented with prolonged jaundice, constipation and umbilical hernia. what is the probable diagnosis?
1. Growth hormone deficiency
2. Kernicterus
3. Congenital hypothyroidism
4. Congenital adrenal hyperplasia

Correct answer: 3. Congenital hypothyroidism

Explanation: Prolonged jaundice, constipation, Umbilical hernia are all seen in congenital hypothyroidism.